All are characteristic features of drug induced hepatitis EXCEPT:
1. Fever
2. Arthritis
3. Rash
4. Neutrophilia

Correct answer: 4. Neutrophilia

Explanation: FARE : fever , arthritis , rash and eosinophilia indicates medication induced liver disease Ref : Schiff's diseases of liver , Edition -11 , Page - 5.